Which of the following is a minor criteria for diagnosis of Rheumatic Fever (RF) according to modified Jones criteria?
1. ASO titre
2. Past History of Rheumatic Fever
3. Fever
4. Subcutaneous nodules

Correct answer: 3. Fever

Explanation: Modified Jones criteria (modified in 1992 by AHA) for diagnosis of Rheumatic fever includes fever, arthralgia, elevated APR (ESR & C reactive protein), prolonged PR interval on ECG. Ref: Essential Pediatrics, OP Ghai - 6th Edition, Page 377; Harrison 16th Edition, Page 1978; Moss and Adams' Heart Disease in Infants, Children Volume 1, By Arthur J. Moss, Hugh D. Allen - Pg 1260